HPV which is strongly associated with carcinoma cervix is :
1. Type 6
2. Type 11
3. Type 16
4. Type 32

Correct answer: 3. Type 16

Explanation: Type 16